A 39-year-old man is unable to expel the last drops of urine from the urethra at the end of micturition because of paralysis of the external urethral sphincter and bulbospongiosus muscles. This condition may occur as a result of injury to which of the following nervous structures
1. Pelvic plexus
2. Prostatic plexus
3. Pudendal nerve
4. Pelvic splanchnic nerve

Correct answer: 3. Pudendal nerve

Explanation: The perineal branch of the pudendal nerve supplies the External urethral sphincter and bulbospongiosus muscles in the male. All other nervous structures do not supply skeletal muscles but supply smooth muscles in the perineal and pelvic organs. The pelvic and prostatic plexuses contain both sympathetic and parasympathetic nerve fibers. The pelvic splanchnic nerve carries preganglionic parasympathetic fibers, whereas the sacral splanchnic nerve transmits preganglionic sympathetic fibers.